Cancer cells derive nutrition from:
1. Anaerobic glycolysis
2. Oxidative phosphorylation
3. Increase in mitochondria
4. Aerobic Glycolysis

Correct answer: 4. Aerobic Glycolysis

Explanation: Ans. D. Aerobic glycolysis(Ref: Harper 31/e page 695) (Harrison 19/e page 102 e-13)Many cancer cells use aerobic glycolysis (Warburg effect) to metabolize glucose leading to increased lactic acid production, where as normal cells use oxidative phosphorylation in mitochondria under aerobic conditions, a much more efficient process.